Mechanism of action of timolol is ?
1. Nonselective beta blocker
2. Nonselective alpha blocker
3. Selective beta 1 blocker
4. Selective beta 2 blocker

Correct answer: 1. Nonselective beta blocker

Explanation: Ans. is 'a' i.e., Nonselective beta blocker Timolol is a non selective beta blocker (betal + beta 2). Thus when it is used in the treatment of glaucoma it can precipitate an attack of asthma by blocking beta 2 receptors.